In sample registration system independent survey is done at every
1. 2 months
2. 6 months
3. 12 months
4. 2 years

Correct answer: 2. 6 months

Explanation: SRS is a dual record system initiated to provide reliable estimates of birth and death rates.It consists of a continuous enumeration of births and deaths by an enumerator and an independent survey every 6 months by an investigator-supervisor.Park 23e pg: 841